Erb's palsy is due to involvement of which part of Brachial plexus
1. Upper trunk
2. Middle trunk
3. Lower trunk
4. Lateral trunk

Correct answer: 1. Upper trunk

Explanation: (A) Upper trunk # ERB'S PALSY: This is the commonest type when the 5th and 6th cervical nerve roots are involved.> The resulting paralysis causes the arm to lie on the side with extension of the elbow, pronation of the forearm and flexion o: the wrist (waiter's tip).> Moro reflex & biceps jerks are absent on the affected side> Treatment consists of use of a splint so as to hold the arm abducted to a right angle and externally rotated> The forearm is flexed at right angle and supinated and the hand is dorisflexed.> Massage and passive movements are advocated.> Fully recovery takes weeks or even months.> Severe injury may produce permanent disability.# Upper root lesions (Erb's palsy):> Due to injury of C5, C6 and (sometimes) C7.> The abductors and external rotators of the shoulder and the supinators are paralysed.> The arm is held to the side, internally rotated and pronated. There may also be loss of finger extension, Sensation is intact.# ERB'S PARALYSIS -occurs if injury occurs to Erb's point i.e. upper trunk of brachial plexus.> Nerve roots: C5 mainly and C6 partly Muscles involved - biceps Brachialis, Brachioradialis - Deltoid Partly - Supraspinatus, Infraspinatus, Supinator Deformity - Policeman's tip hand / Porter's tip hand> KLUMPKE'S PARALYSIS: Lower trunk of brachial plexus involved Nerve roots: Mainly T1 partly C 8 Deformity: Claw hand.